Hutchinson triad includes all Except
1. Sabre shin
2. Eighr nerve deafness
3. Upper incisor teeth
4. Interstitial keratitis

Correct answer: 1. Sabre shin

Explanation: It is a common pattern of presentation for congenital syphilis and consists of three phenomena: interstitial keratitis, malformed teeth (Hutchinson incisors and mulberry molars), and eighth nerve deafness. There may also be a deformity on the nose known as saddle nose deformity.